Which of the following is the best radiological investigation in a case of suspected splenic rupture?
1. CT
2. USG
3. MRI
4. Peritoneal rupture

Correct answer: 1. CT

Explanation: CT can clearly show the extend of splenic injury. It can also distinguish the viable portion of the spleen.